Condition promoting adipocere formation
1. Dry and hot
2. Dry and optimum
3. Cold and moist
4. Hot & Humid

Correct answer: 4. Hot & Humid

Explanation: D i.e. Hot & Humid